Western Blot detects?
1. DNA
2. RNA
3. Protein
4. mRNA

Correct answer: 3. Protein

Explanation: Protein Protein Protein Sample Analyzed Purpose Protein DNA Detects DNA changes Protein RNA Measures mRNA amounts Protein Protein Measures protein amounts Protein DNA Detects DNA mutations Protein RNA or cDNA Measures many mRNA levels at once Protein Proteins or antibodies Detects proteins or antibodies Protein Proteins Measures abundance, distribution, posttranslational modifications. functions, and interactions of cellular proteins